Dumping syndrome occurs least with ?
1. Selective vagotomy
2. Truncal vagotomy
3. Highly selective vagotomy
4. Syndrome occurs with all of the above commonly

Correct answer: 3. Highly selective vagotomy

Explanation: Ans. is 'c' i.e., Highly selective vagotomy It is least seen with highly selective vagotomy because the motility of the stomach is least affected in highly selective vagotomy and is most common with gastrectomy.